The inlay wax used for direct technique:
1. Type I
2. Type II
3. Type III
4. Type IV

Correct answer: 1. Type I